Risk factors of tuberculosis includes
1. HIV
2. Type I diabetes mellitus
3. Chronic renal failure
4. All of the above

Correct answer: 4. All of the above